Development of hepatic central lobular necrosis secondary to acetaminophen overdose can be prevented effectively by which of the following:
1. Methionine
2. Dimercaprol
3. Sodium nitrite
4. Amyl nitrite

Correct answer: 1. Methionine

Explanation: acetaminophen/paracetamol poisoning-treated with NAC and methionine ESSENTIALS OF MEDICAL PHARMACOLOGY;7TH EDITION;KD TRIPATHI;PAGE NO 207